Most common benign tumor of heart in children
1. Rhabdomyoma
2. Myxoma
3. Fibroma
4. Lipoma

Correct answer: 1. Rhabdomyoma

Explanation: Most common benign tumor of heart is Rhabdomyoma in children myxoma in adults.